Identical twins can be differentiated by:-
1. Finger print
2. DNA fingerprinting
3. Blood grouping
4. Age

Correct answer: 1. Finger print

Explanation: Fingerprints are the impressions of the patterns formed by the papillary or epidermal regions of the fingertips. The patterns are not inherited and paternity cannot be proved through fingerprint patterns The pattern is different even in identical twins.